Condyloma accuminatum caused most commonly by human papilloma virus (HPV) types of
1. 18,31
2. 17, 12
3. 6,11
4. 16,18

Correct answer: 3. 6,11

Explanation: Ans- C 6,11